6 yr old child presented to OPD with eczematous rash On evaluation was found to have fever platelests 80,000 on enquiry multiple hospitalisation for recurrent infections
1. Bruton's agammaglobulinemia
2. chediak Higashi syndrome
3. Wiscott Aldrich syndrome
4. Severe combined immunodeficiency

Correct answer: 3. Wiscott Aldrich syndrome

Explanation: ref : robbins 10th ed